Which is the most appropriate definition of Spare receptors ?
1. The receptors which remain unoccupied even after drug produces maximal response
2. The receptors for binding of Inverse agonist
3. The receptors that produce adverse drug effects
4. The receptors that are unable produce maximum response

Correct answer: 1. The receptors which remain unoccupied even after drug produces maximal response

Explanation: Spare receptors : Receptors that are still left unoccupied , even with a concentration of agonist that produces maximal biological response. e.g Myocardial cells are said to contain a large proportion of spare b adrenoceptors.